In school health services the most important functionary should be -
1. School teacher
2. Health worker
3. Medical officer
4. Health assistant

Correct answer: 1. School teacher

Explanation: In school health services the most important functionary is school teacher. REF. PARK'S TEXTBOOK OF PREVENTIVE AND SOCIAL MEDICAL 21ST EDITION. PAGE NO - 533